A 22 years adult presented with hernia and was repaired using cremesteric muscle flap, what type of hernia was it
1. Femoral hernia
2. Indirect inguinal hernia
3. Direct inguinal hernia
4. Interparietal hernia

Correct answer: 2. Indirect inguinal hernia

Explanation: i.e. (Indirect inguinal hernia): (971-83-Love & Bailey 25th) (725-CSDT 13th)A modification of Shouldice repair for Indirect inguinal hernias involve additional use of Cremasteric muscle, rather than incising it.For open hernia repair surgery, a single long incision is made in the groin. If the hernia is bulging out of the abdominal wall (a direct hernia), the bulge is pushed back into place. If the hernia is going down the inguinal canal (indirect), the hernia sac is either pushed back or tied off and removed.The weak spot in the muscle wall-where the hernia bulges through-traditionally has been repaired by sewing the edges of healthy muscle tissue together (herniorrhaphy). This is appropriate for smaller hernias that have been present since birth (indirect hernias) and for healthy tissue, where it is possible to use stitches without adding stress on the tissue. But the surgical approach varies depending on the area of muscle wMesh patches of synthetic material (Gore-Tex, Teflon, Dacron, Marlex, or Prolene) are now being widely used to repair hernias (hemioplasty). This is especially true for hernias that recur and for large hernias, patches are sewn over the weakened area in the abdominal wall after the hernia is pushed back into place. The patch decreases the tension on the weakened abdominal wall, reducing the risk that a hernia will recurall to be repaired and the surgeon's preference.Indirect (Oblique) inguinal herniaMost common form of hernia, especially in the young more common on right side (65%)In the groin, an indirect inguinal hernia results when obliteration of the processus vaginalis, the peritoneal extension accompanying the testis in its descent into the scrotum fails to occur. The resultant hernia sac passes through the internal inguinal ring, a defect in the transversalis fascia half way between the anterior iliac spine and the pubic tubercle. The sac is located antero medially within the spermatic cord and may extend partway along the inguinal canal or accompany the cord out through the subcutaneous (external) inguinal ring, a defect medially in the external oblique muscle just above the pubic tubercle. A hernia that passes fully into the scrotum is known as a complete hernia. The sac and the spermatic cord are invested by the cremaster muuscle, an extension of fibers of the internal oblique muscle